Thiopentone is C/I in
1. Acute intermittent porphyria
2. Bronchial asthma
3. Shock
4. All the above

Correct answer: 4. All the above

Explanation: Barbiturates promote aminolevulinic acid synthetase, which stimulates the formation of porphyrin (an intermediary in heme synthesis). This may precipitate acute intermittent porphyria or variegate porphyria in susceptible individuals. Barbiturates incompletely depress airway reflex responses to laryngoscopy and intubation, and airway instrumentation may lead to bronchospasm (in asthmatic patients) or laryngospasm in lightly anesthetized patients. In situations where the baroreceptor response will be blunted or absent (eg, hypovolemia, congestive heart failure, b-adrenergic blockade), cardiac output and arterial blood pressure may fall dramatically due to uncompensated peripheral pooling of blood and direct myocardial depression. Ref: Morgan & Mikhail's clinical anesthesiology 6e